Husband having suspicion that his wife is having affair with another man, diagnosis is ?
1. Illusion
2. Delusion
3. Hallucination
4. Delirium

Correct answer: 2. Delusion

Explanation: Ans. B. DelusionA delusion is false, firm (unshakeable) beliefthat is not accepted by other members of patient's culture and society.Above is an example of delusion of infedility (morbid jealousy, othello syndrome) i.e-. False belief that one's lover has been unfaithful.